Alcohol causes -
1. Dilated cardiomyopathy
2. HOCM
3. Restrictive cardiomyopathy
4. None

Correct answer: 1. Dilated cardiomyopathy

Explanation: o Chronic Alcohol consumption is the most common cause of Toxic Dilated Cardiomyopathy.
‘Alcohol is the most common toxin implicated in chronic dilated cardiomyopathy.' - Harrison 18th/e p. 1961